In Rubber band extraction, extraction of the tooth occurs because of:
1. Tearing of PDL.
2. Necrosis of PDL.
3. Both
4. None

Correct answer: 2. Necrosis of PDL.

Explanation: Pressure of elastic leads to ischaemia and hence necrosis of PDL.
Due to this, tooth becomes mobile and leads to extraction of tooth.